Detailed plan titled “3 by 5” implemented by WHO in 2003 for AIDS means
1. Treating at least 3 to 5 AIDS infections
2. Controlling 3 chances of infectionout of known 5
3. Providing treatment to 3 million sufferers by year 2005
4. All of the above

Correct answer: 3. Providing treatment to 3 million sufferers by year 2005